True about H. Pylori is all except -
1. It splits urea & produces ammonia to survive
2. Produces Gastric Ca
3. Gram -ye curved rods
4. Cag-A gene is not associated with-risk of duodenal ulcer

Correct answer: 4. Cag-A gene is not associated with-risk of duodenal ulcer